Chylous ascities is caused by all of the following except:
1. Colloid carcinoma of stomach.
2. Tuberculosis
3. Trauma.
4. Nephrotic syndrome.

Correct answer: 1. Colloid carcinoma of stomach.

Explanation: Answer is A (Colloid carcinoma of stomach): Colloid carcinoma of stomach causes mucinous ascities - Harrisons 16'h/ 245 Chylous Ascitis refers to a turbid milley or crcamy peritoneal fluid due to the presence of thoracic or intestinal lymph. It is most often a result of lymphatic obstruction from the cause mentioned below. Causes of Chylous Ascitis Causes of Mucinous Ascitis Trauma Tumor Tuberculosis Filariasis Congenital anomalies Nephrotic syndrome Pseudomyxorna peritonei Colloid carcinoma stomach with peritoneal implants Colloid carcinoma colon with peritoneal implants